Site of Curlings ulcer is-
1. Duodenum
2. Stomach
3. Esophagus
4. Jejunum

Correct answer: 1. Duodenum

Explanation: Ans. is 'a' i.e., Duodenum "Sometimes ulcers occur in cases of burn and then they are called Curling's ulcer. They are found in the first part of the duodenum and are often multiple. They often cause haemorrhage and may sometimes perforate. ____Undergraduate Surgery By A.K.Nano Curling ulcers: are stress ulcers associated with burns and most commonly found in the first part of duodenum.o Cushing ulcers: are stress ulcers associated with head injury and most common sites are stomach > duodenum > esophagus.